All are risks or disadvantages of cell-based therapy except
1. Tumour formation
2. Genetic and epigenetic abnormalities
3. Transmission of infection
4. Limited application

Correct answer: 4. Limited application

Explanation: Stem cell therapy has the potential to provide treatment for a wide range of diseases, including spinal cord injury and neurodegenerative conditions, cardiovascular disease, degenerative retinal conditions, type I diabetes and diseases of the musculoskeletal system.Risks of cell-based therapy.Tumour formationGenetic and epigenetic abnormalitiesTransmission of infectionPoor viability and loss of functionDifferentiation to undesired cell-typesRejection (allogeneic cells)Side effects of immunosuppression (allogeneic cells)Ref: Bailey and Love 27e pg: 40